Final common pathway for horizontal gaze
1. Oculomotor nucleus
2. Vestibular nucleus
3. Trochlear nucleus
4. Abducent nucleus

Correct answer: 4. Abducent nucleus

Explanation: Horizontal Conjugate Gaze Pathway : Components of Pathway For both eyes to look at a side: Contralateral Frontal Eye Field (Brodmann area 8) Ipsilateral PPRF (Paramedial Pontine Reticular Formation) Ipsilateral CN VI Nucleus Contralateral Medial Longitudinal Fasciculus (MLF) Contralateral CN III Nucleus Reference: AK khurana 7th edition